Which among the following doesn't have a role in regulating Vitamin D metabolism?
1. Liver
2. Lungs
3. Kidney
4. Skin

Correct answer: 2. Lungs

Explanation: ANSWER: (B) LungsREF: Guyton physiology 11th edition page 983Cholecalciferol (Vitamin D3) Is Formed in the Skin.Cholecalciferol Is Converted to 25-Hydroxycholecalciferol in the Liver.Formation of 1, 25-Dihydroxycholecalciferol takes place in the Kidneys